Cause of secondary PPH is
1. Atonic uterus
2. Retained placental bits
3. Ruptured uterus
4. Cervical laceration

Correct answer: 2. Retained placental bits

Explanation: Causes of secondary PPH: Retained bits of cotyledon or membranes Infection and separation of slough over a deep cervicovaginal laceration Endometritis Hemorrhage from cesarean section wound Withdrawal bleeding following estrogen therapy for suppression of lactation Ref: Dutta Obs 9e pg 392.